Maximum exposure to HIV is seen in:
1. Intrapartum period
2. Breastfeeding
3. 1st Trimester
4. 3rd Trimester

Correct answer: 1. Intrapartum period

Explanation: Ans: A (Intrapartum period) Ref: Ananthanarayan R. Paniker CKJ. Textbook of Microbiology. 8th Edition. Hyderabad: Universities Press: 2009. Pg. 575 & WHO. A review of HIV transmission through breast feeding. 1998Explanation:About a third to half the number of babies horn to infected mothers are infected withTransmission of infection from mother to baby can take place before, during or after birth.HIV Virus transmission may occur to the fetus in pregnancy as early as the first trimester, but infection is more common during intrapartum period.Percentage HIV infection acquired by different routes * Partially breastfed/ breastfedin fantsNon-breastfed infantsDuring intrauterine period20%33%During delivery45-50%67%Postpartum, by breastfeeding30-35%0* These rates are observed in the absence of interventions to reduce MTCT